What is the best management of contaminated wound with necrotic material?
1. Tetanus toxoid
2. Gas gangrene serum
3. Debridement
4. Broad spectrum antibiotics

Correct answer: 3. Debridement

Explanation: Contaminated wound with necrotic material is best treated by debridement to prevent development of tetanus.